IPC which deals with dowry death is -
1. 304A
2. 304B
3. 303
4. 302

Correct answer: 2. 304B

Explanation: Ref:Textbook of forensic medicine & toxicology Nageshkumar G Rao 2nd edition pg 594 Sec 304-B IPC Dowry death-- When death of a woman occurs due to burn or other bodily injury or in circumstances other than normal within 7 years of marriage,and it is seen that she was submitted to cruelty or harassment by her husband or any relative of the husband for or in connection with any demand for dowry , such death shall be called "dowry death" and the husband or his relative shall be deemed to have caused her death